False statement about common bile duct -
1. Lies in free margin of lesser omentum
2. Anterior to first part of duodenum
3. Right to hepatic artery
4. Anterior to portal vein

Correct answer: 2. Anterior to first part of duodenum

Explanation: Bile duct (upper third or supraduodenal part) passes downwards in the free margin of lesser omentum (hepatoduodenal ligament), behind the liver, anterior to the portal vein and to the right of hepatic arteryQ. Middle third (retro duodenal) part and lower third (infraduodenal - pancreatic) portion curves behind the first (1st) part of duodenum and head of pancreas respectively; whereas both parts run in front of (anterior to) IVC.